A patient with mitral stenosis on pre-op evaluation is detected to have elevated liver enzymes. Which inhalational anaesthetic agent will be preferred in her?
1. Halothane
2. Enflurane
3. Xenon
4. Sevoflurane

Correct answer: 3. Xenon

Explanation: Xenon exhibits minimal cardiovascular and hemodynamic side effects and is not known to be metabolized in the liver or kidney. Hence Xenon will be ideal inhalational anaesthetic agent in this patient. Advantages of Xenon: It is not toxic It does not trigger malignant hyperthermia It has very low blood gas solubility coefficient Very rapid induction and recovery Non explosive Environment friendly Disadvantages of Xenon: Very high cost Low potency Ref: Textbook of Anesthesia for Postgraduates By T. K. Agasti, 2011, Page 424; Miller's Anesthesia: ... edited by Ronald D. Miller, 2009, Page 640.